Which of the following is not true about tryptophan?
1. Involved in niacin synthesis
2. Involved in serotonin synthesis
3. Involved in melatonin synthesis
4. It is a non essential amino acid.

Correct answer: 4. It is a non essential amino acid.

Explanation: Tryptophan is an essential aminoacid. It is used in the synthesis of Melatonin, serotonin and niacin.